An adolescent male developed vomiting and diarrhea 1 hour after having food from a restaurant. The most likely pathogen is?
1. Clostridium perfringens
2. Vibrio parahaemolyticus
3. Staphylococcus aureus
4. Salmonella

Correct answer: 3. Staphylococcus aureus